Tight junctions are seen in all except
1. Cardiac muscle
2. Renal tubules
3. Intestine
4. Choroid plexus

Correct answer: 1. Cardiac muscle

Explanation: Tight junctions are seen along the apical margins of cells in epithelium such as the intestinal mucosa, the walls of the renal tubules, and the choroidal plexus.(Ref: Textbook of physiology AK Jain 4th edition page no.9)